Adverse effects of insulin include all of the following except:
1. Edema
2. weight loss
3. Lipodystrophy
4. hypoglycemia

Correct answer: 2. weight loss

Explanation: Hypoglycemia is the most frequent and potentially the most serious relationship of insulin therapy. Some patients develop short lived dependent edema. Lipodystrophy occur at the site of injection after a long time. weight gain can occur due to insulin not weight loss (REF.Essential of medical pharmacology K D TRIPATHI 6 Edition, Page No - 262)